Which of the following is a mucolytic
1. Lignocaine
2. Aprepitant
3. Codeine
4. Ambroxol

Correct answer: 4. Ambroxol

Explanation: Ambroxol & Bromhexine make the mucus less viscid & act as mucolytics.